The phenomenon where subsequent generations are at risk of earlier and more severe disease, is known as -
1. Anticipation
2. Pleiotrophy
3. Imprinting
4. Mosaicism

Correct answer: 1. Anticipation

Explanation: . Anticipation